Common occular manifestation of chromosomes 13 is
1. Capillary hemangioma
2. Bilateral microopthalmous
3. Neurofibroma
4. Dermoid cyst

Correct answer: 2. Bilateral microopthalmous

Explanation: Trisomy 13 is called pataue syndrome. And is characterized by micropthalmous cataract,corneal opacity and retinal dysplasia Refer khurana 6/e